Probiotics are useful for
1. Necrotizing enterocolitis
2. Breast milk jaundice
3. Hospital acquired pneumonia
4. Neonatal seizures

Correct answer: 1. Necrotizing enterocolitis

Explanation: Probiotics are live bacteria or yeast that are good for health, especially digestive system. Lactobacillus and Bifidobacterium are common probiotics. They treat the certain condition like 1. Irritable bowel syndrome 2. Inflammatory bowel disease 3. Infectious diarrhoea ( by viruses, bacteria, parasite) 4. Antibiotic-related diarrhoea. Ref: Baveja textbook of microbiology; 4th edition